2nd generation sulfonylurea drugs are all except
1. Glipizide
2. Gliclazide
3. Tolbutamide
4. Glibenclamide

Correct answer: 3. Tolbutamide

Explanation: Tolbutamide and chlorpropamide, acetohexamide are first generation sulphonylureas- cause severe hypoglycemiA 2nd gen- less hypoglycemia- gliclazide, glipizide, glibenclamide etc (REF.Essential of medical pharmacology K D TRIPATHI 6 Edition, Page No - 266)